The most important mechanism by which gram negative bacilli acquire chloramphenicol resistance is:
1. Decreased permeability into the bacterial cell.
2. Acquisition of a plasmid encoded for chloramphenicol  acetyl transferase.
3. Lowered affinity of the bacterial ribosome for chloramphenicol.
4. Switching over from ribosomal to mitochondrial protein synthesis.

Correct answer: 2. Acquisition of a plasmid encoded for chloramphenicol  acetyl transferase.